Allen test detects insufficiency of which artery
1. Aorta
2. Umbilical artery
3. Popliteal artery
4. Radial artery

Correct answer: 4. Radial artery

Explanation: Allen test can detect the patency of arteries forming the palmar arch . i.e. Radial & Ulnar arteries . In the given options so radial artery is correct .